Cheeser's lung is caused by
1. A. clavatus
2. A. niger
3. Penicillium marneffei
4. Penicillium caseioculum

Correct answer: 4. Penicillium caseioculum

Explanation: It is Extrinsic allergic alveolitis caused by inhalation of spores of penicillium casei from moldy cheese.